Which of the following is false about viral thyroditis?
1. Self limiting
2. Painful
3. Initial hypothyroid state
4. Raised ESR

Correct answer: 3. Initial hypothyroid state

Explanation: Viral thyroditis has initial hyperthroid state due to release of harmones due to gland destruction.